Left sided superior vena cava drains into:
1. Right Atrium
2. Left Atrium
3. Coronary sinus
4. Pericardial space

Correct answer: 3. Coronary sinus

Explanation: C i.e. Coronary sinus